A 70 year old man presenting with abdominal pain has a mass in abdomen. Angiography reveals aneurysm of aorta. What is the MOST likely cause of aortic aneurysm?
1. Trauma
2. Atherosclerosis
3. Syphilis
4. Congenital

Correct answer: 2. Atherosclerosis

Explanation: Atherosclerosis is the most common cause of aortic aneurysm. Infrarenal abdominal aorta is most frequently affected by the atherosclerotic process and is the most common site of aneurysm formation. Abdominal aorta is more prone to develop aneurysm because it is less elastic, resulting from less elastin and more collagen, and it has higher pulsatile stress compared with ascending aorta. Media of infrarenal aorta in humans has no vaso vasorum, so inner media receive nutrition by diffusion from aortic lumen. Intimal thickening by atherosclerosis disturbs nutrition and hence wall nutrition. Thoracic aortic aneurysms greater than 60mm in diameter and abdominal aortic aneurysm greater than 50mm are prone to rupture. Ref: Diagnosis and Treatment of Aortic Diseases edited by Christoph A. Nienaber, page 58.